Surrogate marker for MRSA detection is ?
1. Cefotaxime
2. Ceftazadime
3. Cephloridine
4. Cefoxitin

Correct answer: 4. Cefoxitin

Explanation: Ans. is 'd' i.e., CefoxitinTesting with cefoxitin as a surrogate marker for the detection of methicillin resistance was very accurate with both disc both disc diffusion and agar dilution methods.Such testing clearly distinguished methicillin-resistant strains of S.aureus from methicillin-susceptible strains.